Obsessive attention by an individual towards another person is called ?
1. Stalking
2. Percieving
3. Following
4. Pressurizing

Correct answer: 1. Stalking

Explanation: Ans. A. StalkingStalkingStalking is unwanted or obsessive attention by an individual or group toward another Person.Stalking behaviors are related to harassment and intimidation and may include following the victim in person or monitoring them.The word stalking is used, with some differing meanings, in psychology and psychiatry and also in some legal jurisdictions as a term for a criminal offense.